Father of modern toxicology -
1. Paracelsus
2. Galton
3. Orfila
4. Guftason

Correct answer: 3. Orfila

Explanation: orfila is known as father of modern toxicology Ref: FORENSIC MEDICINE AND TOXICOLOGY Dr PC IGNATIUS THIRD EDITION PAGE 397